Commonest site of Maltoma is
1. Neck
2. Mediastinum
3. Stomach
4. Vertebra

Correct answer: 3. Stomach

Explanation: Stomach is commonest site of Maltoma.